Action of inferior oblique
1. Adduction
2. Depression
3. Extorsion
4. Intorsion

Correct answer: 3. Extorsion

Explanation: The actions of inferior oblique are: At vertical axis-elevates At horizontal axis-abducts At anteroposterior axis-extorsion Notes; The inferior oblique arises from the orbital surface of the maxilla, lateral to the lacrimal groove. This muscle is situated near the anterior margin of the orbit. Ref BDC volume3.sixth edition pg 211